All of the following clinical finding are consistent with severe mitral stenosis EXCEPT-
1. Atrial fibrillation
2. Pulsatile liver
3. Opening snap late after S2
4. Pulmonary vascular congestion

Correct answer: 3. Opening snap late after S2

Explanation: In severe Mitral Regurgitation, Clinical features are : Atrial fibrillation, Pulsatile liver, Pulmonary vascular congestion. * In atrial fibrillation, First heart sound is loud and can be palpable(tapping apex). *An opening snap may be audible and moves closer to the second sound as the stenosis becomes more severe and left atrial pressure rises. Reference : Davidson, 23rd Edition, page no : 518.